Which of the following is the least common cause of ambiguous genitalia in a female child?
1. Fetal placental steroid sulfatase deficiency
2. Fetal placental aromatase deficiency
3. Congenital adrenal hyperplasia
4. WNT-4 gene mutation

Correct answer: 1. Fetal placental steroid sulfatase deficiency

Explanation: Fetal placental steroid sulfatase deficiency is an X-linked disorder therefore occur only in males. So it's the least common cause of ambiguous genitalia in a female child. Ref: Principles and practice of endocrinology and metabolism, Page 957 By Kenneth L. Becker page1061.